A 78-year-old man is suffering from ischemia of the suprarenal glands. This condition results from rapid occlusion of direct branches of which of the following arteries?
1. Aorta, splenic, and inferior phrenic arteries
2. Renal, splenic, and inferior mesenteric arteries
3. Aorta, inferior phrenic, and renal arteries
4. Superior mesenteric, inferior mesenteric, and renal arteries

Correct answer: 3. Aorta, inferior phrenic, and renal arteries

Explanation: The suprarenal gland receives arteries from three sources: -The superior suprarenal artery arises from the inferior phrenic artery -Middle suprarenal artery arises from the abdominal aorta -Inferior suprarenal artery arises from the renal artery. Hence occlusion of the above said arteries will lead to ischemia of supra renal gands The hepatic, superior mesenteric, inferior mesenteric, and splenic arteries do not supply the suprarenal gland. fig:- blood supply of suprarenal gland